"Squatting attacks" and polycythemia are features of?
1. Acyanotic heart disease
2. Cyanotic heart disease
3. Eisenmenger syndrome
4. Lutembacher syndrome

Correct answer: 2. Cyanotic heart disease

Explanation: In Tetralogy of Fallot, the affected child suddenly becomes increasingly cyanosed, often after feeding or a crying attack and may become apneic and unconscious. These attacks are called Tet spells. Some children characteristically obtain relief by squatting after exertion (this increases the after load to the left heart and decreases the right to left shunting). In older children, Tet spells are uncommon, but cyanosis becomes increasingly apparent, with stunting of growth, digital clubbing and polycythemia.